Ratio of Pleural Fluid protein to serum protein is _______ in transudative pleural effusion
1. < 0.3
2. < 0.4
3. < 0.5
4. < 0.6

Correct answer: 3. < 0.5

Explanation: Pleural Fluid Protein / Serum. Protein is < 0.5 in transudative effusion.